A 8 year old male had non blanching rashes over the shin and swelling of knee joint with haematuria and protein +. Microscopic analysis of his renal biopsy specimen is most likely to show -
1. Tubular necrosis
2. Visceral podocyte fusion
3. Mesangial deposits of IgA
4. Basement membrane thickening

Correct answer: 3. Mesangial deposits of IgA